A child presented with frothy urine, massive proteinuria and edema. Urine examination revealed RBC nil, WBC nil, nocasts, no crystal. No prior episode of similar presentation. What is your diagnosis?
1. Minimal change disease
2. IgA nephropathy
3. Membranous glomerulonephritis
4. MPGN

Correct answer: 1. Minimal change disease

Explanation: Ans. (a) Minimal change disease(Ref: R 9th/pg 917-918)The child in this question presents with first episode of massive proteinuria, frothy urine suggestive of lipiduria and edema. Urine microscopy finding is not significant. This is suggestive of nephrotic syndrome, for which, the most common cause in children is Minimal change disease.